Earliest symptom of acoustic neuroma is:
1. Facial weakness
2. Unilateral sensorineural deafness
3. Reduced corneal reflex
4. Cerebellar signs

Correct answer: 2. Unilateral sensorineural deafness

Explanation: Ans. B Acoustic neuroma - Progressive unilateral sensorineural hearing loss often accompanied by tinnitus is the presenting symptoms in majority of cases Imbalance or unsteadiness, True vertigo is seldom seen *V cranial nerve is the earliest nerve to be involve rest VII, IX, X cranial nerve also commonly involved XI, XII, III, IV, VI are affected when tumor is very large Brain stem, cerebellar involvement an ICT symptoms also occurs. **The presence of bilateral vestibular schwannomas is diagnostic of neurofibromatosis type 2.